Bezold abscess is seen in:
1. Sternocleidomastoid Muscle
2. Sternohyoid muscle
3. Sartorius muscle
4. Semimembranosus muscle

Correct answer: 1. Sternocleidomastoid Muscle

Explanation: Ans. A: Sternocleidomastoid Muscle Bezold's abscess is an abscess in the sternocleidomastoid muscle where pus from a mastoiditis escapes into the sternocleidomastoid. It is a rare complication of acute otitis media.